Which among the following anti-HIV drugs is an inhibitor of viral fusion?
1. Enfuvirtide
2. Nelfinavir
3. Efavirenz
4. Etanercept

Correct answer: 1. Enfuvirtide